Occupational hazards to the dentists result from
1. Posture
2. Accidental infection
3. Dermatitis
4. All of the above

Correct answer: 4. All of the above